A 11 year old 70kg child presents with limitation of abduction and internal rotation. Tenderness in scarpas triangle. On flexing hip, limb is abducted. Diagnosis is
1. TB Hip
2. Fracture neck of femur
3. Slipped capital femoral epiphysis
4. Synovitis Hip

Correct answer: 3. Slipped capital femoral epiphysis